Seton used in fistula in anosurgery is draining seton and
1. Cutting seton
2. Dissolving seton
3. Dissecting seton
4. Fibrosing seton

Correct answer: 1. Cutting seton

Explanation: Setons (Latin: seta = bristle) have been used in a variety of ways in fistula surgery and it is important for surgeons to be clear about what they are trying to achieve in a particular situation. Loose setons are tied such that there is no tension upon the encircled tissue; there is no intent to cut the tissue. A variety of materials have been used but the seton should be non-absorbable, nondegenerative and comfortable. Tight or cutting setons are placed with the intention of cutting through the enclosed muscle. Ref: Bailey & Love's Short Practice of Surgery,E25,Page-1264,1265